Which of the following is a type of incinerator?
1. Double chamber
2. Single chamber
3. Rotary kilns
4. All of the above

Correct answer: 4. All of the above

Explanation: Three basic kinds of incineration technology are of interest for treating health-care wastes:a) Double-chamber pyrolytic incineratorsb) Single-chamber furnaces with static gratec) Rotary Kilns operating at high temperatures.Park 23e pg: 793